A post-thyroidectomy patient develops signs and symptoms of tetany. The management is:
1. IV calcium gluconate
2. Bicarbonate
3. Calcitonin
4. Vitamin D

Correct answer: 1. IV calcium gluconate

Explanation: Ans. (a) IV calcium gluconateRef: Bailey and Love 26th edition Page 762* Tetany means severe hypocalcemia - immediately infuse Calcium gluconate 10mmol/l